Which statement is false about covalent modification?
1. It is reversible
2. It is slower than allosteric regulation
3. It uses the same enzyme for activation and inactivation
4. Phosphorylation is a common covalent modification

Correct answer: 3. It uses the same enzyme for activation and inactivation

Explanation: It uses different enzymes for activation and inactivation Enzyme which adds phosphate is protein Kinase Enzyme which removes phosphate is protein Phosphatase. ADDITIONAL INFORMATION ON COVALENT MODIFICATION Covalent modification is a long term regulation (by hormones). It is slower than allosteric regulation. It is reversible. Covalent modification:- Phosphorylation & dephosphorylation (Most common) Adenylation, uridylation ADP ribosylation methylation acetylation Enzyme Regulation by Covalent Modification